All of the following are true about carcinoma lip except:
1. Non-healing ulcer or growth is the most common presentation
2. Most common site is vermillion of lower lip
3. If 1/3rd or less of lip is involved, Abbe-Estlander flap is used for reconstruction
4. Abbe-Estlander flap is based on superior labial artery

Correct answer: 3. If 1/3rd or less of lip is involved, Abbe-Estlander flap is used for reconstruction

Explanation: Carcinoma of lip: Non-healing ulcer or growth is the most common presentation Most common site is vermillion of lower lip - T1 & T2 - Surgery is TOC - IF 1/3rd or less of lip is involved: 'V' or 'W' shaped full thickness excision with lateral margin of 5 mm + primary closure. - If more than 1/3rd of lip is involved: Flap reconstruction (Abbe-Estlander flap) - T3 & T4 - Combined radiation & surgery (vermilionectomy )